Vismodegib is approved for treatment in
1. Basal cell carcinoma
2. Squamous cell carcinoma
3. Melanoma
4. Skin metastasis of adenocarcinoma

Correct answer: 1. Basal cell carcinoma

Explanation: Mutations in Hh genes encoding the tumor-suppressor patched homolog 1 (PTCH1) and smoothened homolog (5MO) occur in BCC. Aberrant PTCH1 signaling is propagated by the nuclear transcription factors Gli1 and Gli2 which are salient in the development of BCC and have led to the FDA approval of an oral SMO inhibitor, Vismodegib, to treat advanced inoperable or metastatic BCC Vismodegib (trade name Erivedge /'erIvedZ/ ERR-i-vej) is a drug for the treatment of basal-cell carcinoma (BCC). The approval of vismodegib on January 30, 2012, represents the first Hedgehog signaling pathway targeting agent to gain U.S. Food and Drug Administration (FDA) approval Mechanism of action: Vismodegib (Erivedge) is the first-in-class, oral small molecule inhibitor of the Hedgehog (Hh) pathway, abnormal activation of which is associated with basal cell carcinoma (BCC). Primary and secondary resistance to vismodegib has been documented, albeit at a low rate compared with some other targeted therapies Reference: Harrison Textbook of internal medicine; 19th edition pg 1234.